A 61 year old man undergoes CT scan study of the abdomen for unexplained abdominal distension. Low attenuation intraperitoneal collections with enhancing septae are demonstrated. There is scalloping of the liver border and omental thickening. Which one of the following is most likely to be the underlying cause?
1. Carcinoid tumour of the appendix
2. Cystadenocarcinoma of the appendix
3. Perforated duodenal ulcer
4. Spontaneous bacterial peritonitis

Correct answer: 2. Cystadenocarcinoma of the appendix

Explanation: CT findings of pseudomyxoma peritonei include Scalloping on the liver margin by peritoneal implants and septations, probably representing margins of mucinous nodules. The abdominal distension is secondary to the accumulation of large quantities of gelatinous ascites. It is most commonly caused by cystadenocarcinoma of the appendix in males and cystadenocarcinoma of the ovary in females. Surgical debulking and intraperitoneal chemotherapy may be offered as a treatment. Bowel obstruction is a frequent complication that may necessitate surgery.